Maximum Calcium is seen in
1. Jowar
2. Bajra
3. Ragi
4. Sorghum

Correct answer: 3. Ragi

Explanation: Ragi Ragi is a popular millet in Andhra and Karnataka. It is the cheapest among millets. Ragi flour is cooked and eaten as porridge. Ragi is rich in calcium Ref: Park 25th edition Pgno : 652